Consistency of screening test depends on
1. Sensitivity
2. Specificity
3. Reliability
4. Accuracy

Correct answer: 3. Reliability